Mucosa is involved in
1. Psoriasis
2. Lichen planus
3. Alopecia
4. Porphyria

Correct answer: 2. Lichen planus

Explanation: In lichen planus there are oral and genital lesions. There is nail and scalp involvement also. All the other given conditions do not produce mucosal involvement. Iadvl textbook of dermatology